WHO defines adolescent age between ?
1. 10-19 years of age
2. 10-14 years of age
3. 10-25 years of age
4. 9-14 years of age

Correct answer: 1. 10-19 years of age

Explanation: Ans. is 'a' i.e., 10 - 19 Years of age